Phenobarbitone inhibits which complex of ETC?
1. Complex I
2. Complex II
3. Complex III
4. Complex IV

Correct answer: 1. Complex I

Explanation: Ans. A. Complex I(Ref: Harper 31/e page 123)Inhibitors of ETC at Complex I1. An insecticide and a fish Poison Rotenone2. Amobarbital which is a barbiturate.3. Piericidin